Shyam, a 50 years old male presents with a hard scrotal swelling. All of the following can be done EXCEPT :
1. Testicular biopsy
2. Chest x-ray
3. Inguinal exploration
4. CT abdomen

Correct answer: 1. Testicular biopsy

Explanation: Ans. is 'a' ie. testicular biopsy (Ref Harrison, 17/e p601 (16/e p550, 15/e p617))As already explained in Nov. 2001 paper.a testicular biopsy (more specifically a trans-scrotal testicular biopsy) is not done, rather is contraindicated.A suspected scrotal mass is investigated by ultrasonography on finding a testicular mass, a radical inguinal orchiectomy is done. A trans-scrotal testicular biopsy would breach anatomical barriers and would spread the tumor.